A child is spinned around by holding his hand by his father. While doing this the child started crying and does not allow his father to touch his elbow. The diagnosis is :
1. Pulled elbow
2. Radial head dislocation
3. Annular ligament tear
4. Fracture olecranon process

Correct answer: 1. Pulled elbow

Explanation: A i.e. Pulled elbow